Nasal intubation is contra indicated in –
1. CSF Rhinorrhea
2. Fracture cervical spine
3. Fracture inaudible
4. Short neck

Correct answer: 1. CSF Rhinorrhea

Explanation: Nasal intubation is contraindicated in : Basal skull fracture, CSF rhinorrhea, coagulopathy, nasal polyp / abscess / foreign body and adenoid.